What is role of Mallampati classification in preanesthetic evaluation?
1. To identify difficulty in ventilation
2. To identify difficulty in intubation
3. To identify difficulty in both ventilation & intubation
4. To identify cardiac risk with surgery

Correct answer: 2. To identify difficulty in intubation

Explanation: Mallampati classification is preanesthetic evaluation of difficulty in Intubation.